Genetic reassortment is seen with -
1. Astrovirus
2. Herpes virus
3. Rotavirus
4. Hepadena virus

Correct answer: 3. Rotavirus

Explanation: genetic reassortment in praparation of vaccine for rota virus REF:ANANTHANARYANAN TEXT BOOK OF MICROBIOLOGY 9EDITION PGNO.561